Best graft for aortic dissection:
1. Dacron
2. Autologous vein
3. Autologous artery
4. PTFE

Correct answer: 1. Dacron

Explanation: Best vascular graft for suprainguinal bypass: Dacron Best vascular graft for infrainguinal bypass: Saphenous vein Best vascular graft for aorta: Dacron